Albumin exerting high oncotic pressure because
1. High molecular weight and low concentration
2. Low molecular weight and high concentration*
3. High molecular weight and high concentration
4. Low molecular weight and low concentration

Correct answer: 2. Low molecular weight and high concentration*

Explanation: Albumin (69000)molecular weight is less compared to globulin(90000-150000) and fibrinogen (340000).80%of osmotic pressure of blood is exerted by albumin since it has highest concentration. Ref: Textbook of medical physiology by N Geetha, 2nd edition, page no. 67